Amifostine is protective to all EXCEPT :
1. Salivary glands
2. Skin
3. CNS
4. GIT

Correct answer: 3. CNS